Kidney plays a role in maintaining constancy of milieu interior. Milieu interior refers to:
1. ECF
2. ICF
3. Plasma
4. Serum

Correct answer: 1. ECF

Explanation: Milieu interior refers to the extracellular environment. The main function of kidney is homeostasis, the maintenance of the constancy of the milieu interior. Ref: Fundamentals of Medical Physiology by Joel Michael, Sabyasachi Sircar, 2010, Chapter 53.